Which of the following features is not seen in Anorexia Nervosa?
1. Decreased total brain volume
2. Lowered metabolic rate
3. Impaired regulation in growth hormone levels
4. Decreased serum protein

Correct answer: 4. Decreased serum protein

Explanation: Important medical complications related to Anorexia Nervosa Peripheral oedema Lanugo hair development Skin changes (dryness, scaling, yellow tinge caused by carotinemia) Lowered metabolic rate (bradycardia, hypotension, hypothermia) Normal thyroid-stimulating hormone levels; low triiodothyronine (T3) syndrome Normal or overstimulated adrenal axis; possible loss of diurnal variation in cortisol Normal serum protein and albumin concentrations Impaired regulation in growth hormone levels; increased basal levels Decreased total brain volume/increased ventricular size on imaging